Mandibular posteriors proximally are
1. Trapezoid
2. Pentagonal
3. Rhomboid
4. Triangular

Correct answer: 3. Rhomboid